In fracture of the olecranon, excision of the proximal fragment is indicated in all of the following situations except :
1. Old united fracture
2. Non-articular fracture
3. Fracture extending to coronoid process
4. Elderly patient

Correct answer: 3. Fracture extending to coronoid process

Explanation: Indications of proximal fragment excision in olecranon fracture :

Old ununited fracture.
Nonarticular fractures.
Open fractures with soft tissue viability questionable.
Fractures with extensive comminution (ORIF not possible).
Fractures in elderly.